Ionophores have all of the following actions except:
1. Abolish proton gradient
2. Inhibit ADP to ATP conversion
3. Hydrophilic in character
4. Abolish pH gradient

Correct answer: 3. Hydrophilic in character

Explanation: Ionophores- Large number of antibiotic substances, capable of inducing passage of specific ions across biological membranes. Process is called ionophoresis. E.g. valinomycin. Function as ion shuttles for the movement of ions across membranes. Form lipid-soluble complexes (Hydrophobic) with specific cations, which are carried through the mitochondrial membrane. E.g. valinomycin forms complex with K+ and the complex then readily passes through the membrane. Metabolic uncouplers (e.g. dinitrophenol) increase the permeability of mitochondria to protons (the mitochondrial membrane is otherwise impermeable to protons)